The support of an RPD is usually:
1. Tooth support.
2. Mucosa support.
3. Both.
4. None.

Correct answer: 3. Both.